Damage to facial nerve just above branching of chorda tympani causes all except:
1. Hyperacusis
2. Decreased salivation
3. Loss of taste from tongue
4. Paralysis of muscles of facial expression

Correct answer: 1. Hyperacusis

Explanation: Lesions within the facial canal distal to the meatal segment cause both hyperacusis and ageusio; lesions in the facial canal between the nerve to stapedius and the chorda tympani cause ageusia but no hyperacusis; lesions distal to the chorda tympani cause neither ageusia and hyperacusis.